Most diffusable ion in excitable tissue is -
1. Na+
2. K+
3. PO4-
4. Cl-

Correct answer: 2. K+

Explanation: Points to note
Concentration of ions

Na+ concentration higher in ECF 
K+ concentration higher in ICF 
Cl- concentration higher in ECF
K+ leak channels allow K+ to move from ICF to ECF
Na+ is prevented from entering the cell.
Thus diffusion is highest for K+, then Cl- and least for Na+, when the cell is at rest.